Transfer of genetic material in 1 meiotic division between 2 non-homologous chromosomes:
1. Translocation
2. Non- disjunction
3. Inversion
4. Isochromose

Correct answer: 1. Translocation

Explanation: A i.e. Translocation- Aneuploidy is a condition in which a cell contains other than haploid number of chromosomes or an exact multiple of it. It produced by non- disjunction of chromosomes at meiosisQ and is common in cancer cells.- Term 'Ploid is used to refer number of chromosomes in cells. Euploid: Normal resting diploid cell. Tetraploid: Cells just before division.